Abdominal ultrasound of a patient showed gall bladder with diffuse wall thickening and hyperechoic nodules at the neck and few comet tail artifacts. What is the most likely diagnosis?
1. Adenomyomatosis
2. Adenocarcinoma of gall bladder
3. Xanthogranulomatous cholecystitis
4. Chelesterol crystals

Correct answer: 1. Adenomyomatosis

Explanation: Adenomyomatosis is a benign condition characterized by hyperplastic changes of unknown etiology involving the gallbladder wall. It causes overgrowth of the mucosa, thickening of the muscular wall, and formation of intramural diverticula or sinus tracts termed as Rokitansky-Aschoff sinuses. Ultrasound shows a thickened gall bladder wall, punctate hyperechoic reflectors with comet tail artifacts.